Liver synthesizes
1. Prothrombin
2. Fibrinogen
3. Ceruloplasmin
4. All of the above

Correct answer: 4. All of the above

Explanation: (D) All of the above # Proteins produced and secreted by the liver> A large part of amino acid synthesis occurs in liver> Liver performs several roles in carbohydrate metabolism: Gluconeogenesis (the synthesis of glucose from certain amino acids, lactate or glycerol) Glycogenolysis (the breakdown of glycogen into glucose) Glycogenesis (the formation of glycogen from glucose) (muscle tissues can also do this)> The liver is responsible for the mainstay of protein metabolism, synthesis as well as degradation> The liver also performs several roles in lipid metabolism: Cholesterol synthesis Lipogenesis, the production of triglycerides (fats).> The liver produces coagulation factors I (fibrinogen), II (prothrombin), V, VII, IX, X and XI, as well as protein C, protein S and anti-thrombin.> In the first trimester fetus, the liver is the main site of red blood cell production.> The liver produces and excretes bile> The liver also produces insulin-like growth factor 1 (IGF-1), a polypeptide protein hormone that plays an important role in childhood growth and continues to have anabolic effects in adults.> The liver is a major site of thrombopoietin production. Thrombopoietin is a glycoprotein hormone that regulates the productior of platelets by the bone marrow.> Breakdown The breakdown of insulin and other hormones The liver breaks down hemoglobin, creating metabolites that are added to bile as pigment (bilirubin and biliverdin). The liver breaks down or modifies toxic substances (E.g.. Methylation) and most medicinal products in a process called drug metabolism. This sometimes results in toxication, when the metabolite is more toxic than its precursor. Preferably, the toxins are conjugated to avail excretion in bile or urine.> The liver converts ammonia to urea.# Other functions> The liver stores a multitude of substances, including glucose (in the form of glycogen), vitamin A (1-2 years' supply), vitamin D (1--4 months' supply), vitamin B12, iron, and copper.> The liver is responsible for immunological effects- the reticuloendothelial system of the liver contains many immunologically active cells, acting as a 'sieve' for antigens carried to it via the portal system.> The liver produces albumin, the major osmolar component of blood serum.> The liver synthesizes angiotensinogen, a hormone that is responsible for raising the blood pressure when activated by renin, a kidney enzyme that is released when the juxtaglomerular apparatus senses low blood pressure.